Recall bias is more common with
1. Cohort study
2. Randomized control trial
3. Cross sectional study
4. Case control study

Correct answer: 4. Case control study

Explanation: When cases and controls are asked questions about their past history it may be more likely for the cases to recall the existence of certain events or factors than the controls who are healthy. (refer pgno:73 park 23rd edition)